False about '100 Day Cough'?
1. Incubation period is 7-14 days
2. There is no subclinical or chronic carriers state
3. Incidence and fatality is more common in males than females
4. Erythromycin is the drug of choice

Correct answer: 3. Incidence and fatality is more common in males than females

Explanation: Whooping cough Aka '100 Day cough' Causative organism- Bordetella Pertusis Incubation period is 7-14 days. There is no subclinical or chronic carriers state. Erythromycin is the drug of choice. Incidence and fatality are more common in females than males.